All of the following statements about vincristine are true EXCEPT:
1. It acts by inhibiting mitosis
2. Its prominent adverse effect is peripheral neuropathy
3. It does not suppress bone marrow
4. It is a drug of choice for solid tumors in adults

Correct answer: 4. It is a drug of choice for solid tumors in adults

Explanation: Vincristine is a vinca alkaloid. It acts in M-phase of cell cycle by inhibiting the formation of spindle. It is a marrow sparing drug and causes peripheral neuropathy as a prominent adverse effect. It is used for the treatment of hematological malignancies like Hodgkin's lymphoma and leukemias. It can be used for pediatric solid tumors like Wilms tumor, neuroblastoma and rhabdomyosarcoma etc. It is tolerated better by children than adults and is not indicated for solid tumors in adults.